Which of the following treatment modality of Papillary carcinoma is obsolete nowadays?
1. Near total thyroidectomy
2. Modified radical neck dissection
3. Suppressive life long dose of L-thyroxine
4. Berry picking of involved lymph nodes

Correct answer: 4. Berry picking of involved lymph nodes

Explanation: Treatment:

Near total or total thyroidectomy with modified neck dissection (functional) for nodes.
Suppressive dose of L-thyroxine 0.3 mg once daily for life long.
Berry picking means removal of involved nodes only. It is not followed nowadays.

Key concept:
Mostly  central  neck  nodes  are  cleared.  If nodes  are enlarged in the anterior triangle, they are dissected and removed en bloc along with fat and fascia. This is called functional  block dissection  (Berry picking means removal of enlarged lymph nodes only. It is no  longer followed).